The most common cause of epistaxis in children?
1. Common cold
2. Nasal allergy
3. Polyp
4. Habitual nose picking

Correct answer: 4. Habitual nose picking

Explanation: The overall most common cause of epistaxis is idiopathic. In children, the most common cause is traumatic after nose picking. upper respiratory tract Infections lead to dryness, crusting and irritation which on removal by nose picking lead to epistaxis. (Ref: Cummings, 6th edition, pg no. 680 )